Fluoride inhibits
1. Glucose-6-phosphatase
2. Glucokinase
3. Hexokinase
4. Enolase

Correct answer: 4. Enolase

Explanation: Ans. d (Enolase) (Ref Harper 28th/150)# Enolase is the enzyme of glycolysis pathway that converts 2-phosphoglycerate into phosphoenol pyruvate and is inhibited by "Fluoride".# The blood is preserved with "NaF".Fluoride inhibits the Enolase, which is an enzyme of glycolysis.EnzymeInhibitorPathway 1.AconitaseFluoroacetate0Krebs cycle2.L-KG dehydrogenaseArseniteKrebs cycle3.EnolaseFluoride0Glycolysis4.Succinate dehydrogenaseMalonate oxaloacetateKrebs cycle5.Glyceradehyde 3-phosphateLactoacetate dehydrogenaseGlycolysis6.MOAIproniazid0-7.Pyruvate dehydrogenaseArsenite-8.Carbonic anhydraseSulfanilamide-# ESR determination:- Westergren's method: 3.8% sodium citrate solution used as anticoagulant.- Wintrobe's method: 2 mg of potassium oxalate and 3 mg of Ammonium oxalate as anticoagulant (double oxalate)# For measurement of BT, CT, PT 3.8% sodium citate solution used as anticoagulant.# For blood transfusion: blood stored in (Anticoagulant used for blood transfusion)- Acid citrate dextrose (ACD) for 21 days- Citrate phosphate dextrose (CPD) for 35 days# Saline adenosine.